Synchisis scintillans means:
1. Vitreous detachment
2. Liquefaction of vitreous
3. Adhesion of iris
4. Vitreous hemorrhage

Correct answer: 2. Liquefaction of vitreous

Explanation: Ans. B: Liquefaction of vitreous Synchisis scintillans is a degenerative condition of the eye, resulting in liquified vitreous humor and the accumulation of cholesterol crystals within the vitreous. It is also known as cholesterosis bulbi. The vitreous liquifies in a process known as syneresis. Synchisis scintillans appears as small white floaters that freely move in the posterior part of the eye, giving a snow globe effect. It is most commonly seen in eyes that have suffered from a degenerative disease and are end-stage. This condition is seen rarely. Associated with the advanced stages of diabetic retinopathy, but the exact pathogenesis is unknown. No treatment is indicated.